While discharging a patient of meningitis due to H. influenzae the essential step you will do:
1. EEG
2. Assess developmental milestones
3. Bilateral evoked auditory response
4. Refer for physiotherapy

Correct answer: 3. Bilateral evoked auditory response

Explanation: H. influenzae is one of the three M/C/C of childhood otitis media (the other two being Streptococcus pneumoniae and Moraxella catarrhalis). A diagnosis of otitis media is based on the detection by pneumatic otoscopy of fluid in the middle ear and bilateral evoked auditory response.